At the village level, the Panchayati Raj consists of all of the following, except:
1. Zilla Parishad
2. Nyaya Panchayat
3. Gram Panchayat
4. Gram Sabha

Correct answer: 1. Zilla Parishad

Explanation: Panchayati Raj at village level consists of :
Gram Sabha
Gram Panchayat
Nyaya Panchayat